All of the following are true for Ramsay hunt syndrome except -
1. It has viral etiology
2. Involves VIIth nerve
3. May involve VIIIth nerve
4. Results of spontaneous recovery are excellent

Correct answer: 4. Results of spontaneous recovery are excellent

Explanation: The prognosis of Ramsay Hunt syndrome is worse than Bell's Palsy. Persistent weakness is observed in 30-50% of patients and only 10% recover completely after a complete loss of function without treatment.
Treatment recommended is prednisone (steroid) combined with acyclovir.